Most heat sensitive vaccine
1. BCG
2. TT
3. OPV
4. Small pox

Correct answer: 3. OPV

Explanation: According to heat sensitivity of vaccines ,they are arranged in to 6 groups ie Group A to Group F Most heat sensitive are in group A and least in Group F OPV is included in group A Reference; Park's Textbook of Preventive and Social medicine; 24th edition; Page no. 114